Psammoma bodies are seen in -
1. Thyroid carcinoma
2. Carcinoma breast
3. Carcinoma stomach
4. Carcinoma testis

Correct answer: 1. Thyroid carcinoma

Explanation: Papillary thyroid carcinoma

It is the most common type of thyroid cancer.
Carcinoma cells have nuclei which contain finely dispersed chromatin, which imparts optically clear or empty appearance, giving rise to the ground glass or Orphan Annie eye nuclei.
Invagination of cytoplasm may give rise to the appearance of intranuclear inclusions (pseudoinclusions) or intranuclear grooves the diagnosis of papillary carcinoma is based on these nuclear features.
Psammoma bodies are present
Lymphatic metastasis may be seen but the involvement of blood vessels is rare.